A patient comes with emotional problems, 
increased salivation; pallor of oral mucosa and a
grayish blue discoloration of the gingiva. These 'findings are most consistent with a clinical impression of:
1. Cherubism
2. Cretinism
3. Pierre Robin syndrome
4. Lead poisoning

Correct answer: 4. Lead poisoning